An otherwise healthy male presents with a creamy curd like white patch on the tongue. The probable diagnosis is:
1. Candidiasis
2. Histoplasmosis
3. Lichen planus
4. Aspergillosis

Correct answer: 1. Candidiasis

Explanation: Ans. a. CandidiasisCandidiasisCaused by Candida albicansOral candidiasis appears as a curdy white adherent membrane, which when removed, leaves a red, raw surface - pseudomembranous formOther types are: Vaginal candidiasis, Angular stomatitis, Atrophic candidiasisMost common opportunistic infection in HIV- affected individuals